Sleepwalking occur in which stage of sleep -
1. REM
2. NREM stage
3. NREM stage 3 or 4
4. Can occur in any stage of NREM sleep

Correct answer: 3. NREM stage 3 or 4

Explanation: Sleep walking (somnambulism) is seen in stage 3 & 4 of NREM sleep.